Thyroid dose for panoramic radiograph is:
1. 0.94 mGy
2. 0.074 mGy
3. 0.074 microGy
4. 0.74 mGy

Correct answer: 2. 0.074 mGy

Explanation: Thyroid dose for panoramic radiograph is 0.074 mGy.
White and Pharoah 5th ed pg -234